First to appear in Girl's puberty is:
1. Thelarche
2. Menses
3. Adrenarche
4. Height spurt

Correct answer: 1. Thelarche

Explanation: Specific events in girls Events in boys 1st Thelarche (T) Testicular enlargement (T) 2nd Pubarche (P) Penile enlargement & pubic hairs (P then P) 3rd Growth spurt (G) Growth spurts (G) 4th Menarche Axillary hair and facial hairs